Which of the following vaccine is given subcutaneously-
1. BCG
2. Live influenza
3. Measles
4. Typhoid

Correct answer: 3. Measles

Explanation: Ans. is 'c' i.e., Measles o The routes of important vaccines are i) Subcutaneous: Measles, rubella, killed influenza, killed cholera, IPV, yellow fever. ii) Intramuscular: Mumps, killed influenza, typhoid Vi-polysaccharide, DPT (deep intramuscular), rabies, IPV. iii) Intradermal: BCG, rabies. iv) Nasal: Live influenza. v) Oral: OPV, oral cholera, oral typhoid (typhoral).